Efferent , Neuromodulatory , post ganglionic sympathetic nerve fibers of the pulp arise from
1. Superior cervical Ganglion
2. Nervous intermedius
3. Otic ganglion
4. Mandibular nerve

Correct answer: 1. Superior cervical Ganglion